In a post operative case of early stage endometrial cancer, radiation is advised in
1. Stage 1A Grade I
2. Stage IA Grade II
3. Stage IA Grade III
4. All the above

Correct answer: 3. Stage IA Grade III

Explanation: MANAGEMENT OF EARLY DISEASESURGERYMinimally invasive simple hysterectomy with bilateral salpingo-oophorectomy Peritoneal cytologySentinel lymph node mapping POST OPERATIVE RADIOTHERAPYSTAGEGRADE 1/2GRADE 3Stage IAObservationIVStage IBIVIMRT versus IV + CTStage II IV IMRT versus IV + CTStage IIIMIMRT versus IV + CTIV: Intravaginal radiationIMRT: Intensuty modulated radiation therapyCT: Chemotherapy; Carboplatin + PaclitaxelReference: Novak's gynecology; 14th edition; Chapter 35; Uterine cancer